Most commonly used technique of flossing?
1. Spool method
2. Spiral method
3. Winding method
4. Knutson method

Correct answer: 1. Spool method